Majority of surveyors have following components:
1. Vertical arm
2. Horizontal arm
3. Level platform
4. All of the above

Correct answer: 4. All of the above